A child died soon after birth. On examination there was hepatosplenomegaly and edema all over body. Most probable diagnosis in -
1. b-thalassemia
2. a-thalassemia
3. Hereditary spherocytosis
4. ABO incompatibility/sickle cell anemia

Correct answer: 2. a-thalassemia

Explanation: Ans. is 'b' i.e., alpha-thalassemia o Out of the given 4 types of hemolytic anemias only alpha thalassemia is able to give rise to such severe presentation at birth. In all other conditions the newborn is either normal or has mild jaundice.